Which of the following nerves transmits impulses originating from the vestibular apparatus?
1. Cranial nerve ll
2. Cranial nerve VII
3. Cranial nerve VIII
4. Cranial nerve XI

Correct answer: 3. Cranial nerve VIII

Explanation: The vestibular portion of cranial nerve VIII (vestibulocochlear nerve) carries impulses from the vestibular apparatus to the vestibular ganglion, which then conveys the impulses to the vestibular nuclei of the brainstem.